Which muscle causes retraction of scapula?
1. Serratus anterior
2. Levator scapulae
3. Rhomboideus major
4. Supraspinatus

Correct answer: 3. Rhomboideus major

Explanation: The rhomboid major muscle originates from the spines of T2-T5 and supraspinous ligaments and inserts into the medial border of scapula. Its action is retraction of scapula. BD chaurasia 7th edition, page 65-table 5.2